Gastric lavage turns black in presence of Silver nitrate, most probable poisoning was:
1. Celphos
2. Malathion
3. Organophosphorus
4. Parathion

Correct answer: 1. Celphos

Explanation: A i.e. Celphos